Paper points are sterilized by:
1. Cold sterilization with chemical solution
2. Boiling
3. Hot salt sterilizer
4. All of the above

Correct answer: 3. Hot salt sterilizer